Volkmann's ischemic contracture is associated with
1. Intertrochanteric femoral fracture
2. Supracondylar fracture of the humerus
3. Posterior dislocation of the knee
4. Traumatic shoulder separation

Correct answer: 2. Supracondylar fracture of the humerus

Explanation: Compromise of blood supply to the muscles of the forearm can lead to a compartment syndrome and permanent serious functional deformity of the arm. Any patient with a compressive dressing or cast of the upper extremity can experience this potential catastrophe. Whenever a patient has increasing pain in the presence of a circular dressing around the arm or forearm, the dressing should be removed immediately. If there is tenderness in the forearm on either the ulnar or dorsal aspect, a fasciotomy should be considered.